A 63-year old man presented with massive splenomegaly, lymphadenopathy and a total leucocyte count of 17000 per mm3. The flow cytometery showed CD 23 negative and CD 5 positive monoclonal B-cells with bright kappa positively comprising 80% of the peripheral blood lymphoid cells. The most likely diagnosis is -
1. Mantle cell lymphoma
2. Splenic lymphoma with villous lymphocytes
3. Follicular lymphoma
4. Hairy cell leukemia

Correct answer: 1. Mantle cell lymphoma

Explanation: Ans. is 'a' i.e., Mantle cell lymphoma o 65 years old man with splenomegaly, lymphodenopathy CD-23 negative and CD-5 positive B-cell suggest the diagnosis of mantle cell lymphoma. Clinical features of mantle cell lymphoma o It is usually present in fifth to sixth decade with male preponderance. o The most common presentation is painless lymphodenopathy. Splenomegaly may occur. o Occasionally, multifocal mucosal involvement of the small bowel and colon produces lymphomatoid polyposis --> of all forms of NHL, mantle cell lymphoms is most likely to spread in this fashion.